Role of fixer is:
1. It binds developer to film
2. It takes away extra developer solution
3. It strengthens/fixes the silver halides on to X-ray film
4. It removes the extra silver halides which are unfixed

Correct answer: 4. It removes the extra silver halides which are unfixed